Which of the following is not found in commercially 
available tooth paste?
1. Humectants
2. sweetening agents
3. detergents
4. astringent

Correct answer: 4. astringent